Which one of the following drugs is not a long acting neuromuscular blocking agent ?
1. Doxacurium
2. Mivacurium
3. Pancuronium
4. Pipecuronium

Correct answer: 2. Mivacurium